26 year old man died while playing. His autopsy of the heart revealed myocyte hypertrophy. Diagnosis is -
1. HOCM
2. DCM
3. Arrythmogenic cardiac problem
4. Restrictive cardiomyopathy

Correct answer: 1. HOCM